Scleritis is commonly seen with
1. Reiter s syndrome
2. Rheumatoid arthritis
3. Ankylosing spondylitis
4. Wegners syndrome

Correct answer: 2. Rheumatoid arthritis

Explanation: Ans. (b) Rheumatoid arthritisRef: A.K. Khurana 6th ed. /141, Khurana 4th ed./129* Scleritis is chronic inflammation of the sclera. Most commonly seen in elderly females (40-70 years).* Scleritis is associated with autoimmune collagen disorders, most commonly with rheumatoid arthritis.* Other causes can be PAN, SLE, ankylosis spondylitis, Wegeners granulomatosis, thyrotoxicosis, TB, syphillis.